The organism causing pseudomembranous colitis:
1. Clostridium difficile
2. Clostridium perfringens
3. Clostridium tetani
4. Clostridium botulinum

Correct answer: 1. Clostridium difficile

Explanation: Clostridium difficile